Ketamine causes:
1. Hallucination
2. Hypotension
3. Myocardial depression
4. Decrease in intracranial pressure

Correct answer: 1. Hallucination

Explanation: Ans. (a) HallucinationRef. Katzung 9th edJ 1604; KDT 6th ed./376* Ketamine is the only intravenous anesthetic that possesses analgesic properties and produces cardiovascular stimulation.* It is pharmacologically related to the hallucinogen Phencyclidine; induces a so called "dissociative anesthesia characterized by profound analgesia, immobility, amnesia and feeling of dissociation from one's own body and the surrounding.* It causes:# Hallucination# Delusion and illusion.# Profound analgesia* Ketamine increases all pressures like:# BP (hypertension)# Intracranial tension (ICT)# Intraocular pressure (IOP)* It is contraindicated in intracerebral mass/hemorrhage.MUST KNOW ABOUT KETAMINE: (Remembered as)KKids: can be given to kidsEEmergence reaction: s/e occurring during recoveryTThalamo-cortical junction affected: Dissociative AnesthesiaAAnalgesia strongestMMeal: can be given with full stomachIIncrease: BP/IOP/ICTNNMDA receptor blockerEExcellent bronchodilator: inducing agent of choice in asthma patient.Also Know* PROPOFOL causes myocardial depression and fall in BP.